Complications of cataract surgery –a) Endophthalmitisb) Optic neuropathyc) Retinal detachmentd) Vitreous losse) Lagophthalmos
1. abcd
2. bcde
3. abde
4. acd

Correct answer: 4. acd

Explanation: Important complications of cataract surgery 

After cataract (opacification of the capsule)       
Vitreous prolapse & loss   
Cystoid macular edema     
Endophthalmitis
Aphakic glaucoma
Retinal detachment
Fibrous & endothelial growth
Neovascular glaucoma
Iris prolapse
Anterior uveitis (iridocyclitis)
Strait keratopathy & pseudophakic bullous keratopathy
Corneal endothelial damage